The operation of plication of inferior lid retractors is indicated in:
1. Senile ectropion
2. Senile entropion
3. Cicatricial entropion
4. Paralytic entropion

Correct answer: 2. Senile entropion

Explanation: Ans. Senile entropion